For the purpose of Intervention Trials, the preferred randomization unit is an individual for all of the following except -
1. Vaccine
2. Drug
3. Surgery
4. Health Education

Correct answer: 4. Health Education